The part of sequence of RNA coding for a protein and it's mutated sequence is given below.

Normal sequence : AGC- GCC- GAA- AGA- AAG- AUG- ACG
Mutated sequence : AGC- GCC- GAA- UGA- AAG- AUG- ACG

Type of mutation shown above is
1. Missense mutation
2. Nonsense mutation
3. Silent mutation
4. Frame shift mutation

Correct answer: 2. Nonsense mutation

Explanation: AGA is mutated to UGA (Adenine is replaced by Uracil) Coding region is converted to Stop Codon. So it is a Nonsense point mutation.